Which drug is used for topical application in respiratory papillomatosis?
1. Acyclovir
2. Ranitidine
3. Cidofovir
4. Ribavirin

Correct answer: 3. Cidofovir

Explanation: Cidofovir Gold standard treatment for respiratory papillomatosis is Laser MLS/ Powered MLS (using microdebrider). Cidofovir is a recent drug which is used intralesionally or topically. Its active metabolite, cidofovir diphosphate, inhibits viral replication by selectively inhibiting viral DNA polymerase.